What is the most accurate method for measuring portal hypertension ?
1. Doppler ultrasound
2. Hepatic venography
3. CT
4. MRI

Correct answer: 2. Hepatic venography

Explanation: Portal hypertension occurs when the pressure in the portal system is increased due to factors that may be divided into three categories Pre-sinusoidal causes of portal hypertension include : sinistral/extrahepatic : I. splenic vein thrombosis II. splenomegaly III. splenic atrioventricular fistula intrahepatic : I. schistosomiasis II. congenital hepatic fibrosis III. idiopathic portal fibrosis IV. myeloproliferative disorder V. sarcoid VI. graft versus- host disease Sinusoidal portal hypertension is a consequence of cirrhosis of any aetiology. Postsinusoidal hypertension can also be divided into : intrahepatic - vascular occlusive disease posthepatic :- I. Budd-Chiari II. congestive heart failure III. IVC webs Post Hepatic Portal Hypertension Right heart failure Tricuspid regurgitation Constrictive pericarditis IVC obstruction Budd - Chiari syndrome Intrahepatic Portal Hypertension Cirrhosis Schistosomiasis Hepatitis Veno - occlusive disease Sclerosing cholangitis Primary biliary cirrhosis Wilson's disease Hemochromatosis Alpha - 1 antitrypsin Granulomatous disease Congenital fibrosis Pre - hepatic Portal Hypertension Portal vein thrombosis Splenic vein thrombosis Splenomegaly Mesenteric arteriovenous fistula DIAGNOSIS : In evaluating patients with suspected portal hypertension, an enlarged portal vein on routine abdominal ultrasonography may suggest portal hypertension but this is not diagnostic. Doppler ultrasound allows identification of vascular occlusion and the direction of portal venous low. CT and MR angiography are useful for evaluating portal venous patency and anatomy. The most accurate method for measuring portal hypertension is hepatic venography. This procedure introduces a balloon catheter directly into the hepatic vein where free hepatic venous pressure (FHVP) is measured. The hepatic vein is then occluded by inflation of the balloon allowing measurement of the wedged hepatic venous pressure (WHVP). The hepatic venous pressure gradient (HVPG) may then be calculated by subtracting the FHVP rom the WHVP (HVPG = WHVP-FHVP). Clinically significant portal hypertension is defined as HVPG greater than 10 mm Hg. Angiographic Findings IVC graphy or percutaneous hepatography or MR Venography 'Spider - Web Collaterals' Long segmental compression of IVC by caudate lobe Dilated hepatic arteries